In donovanosis -
1. Pseudolymphadenopathy
2. Penicillin is used for treatment
3. Painful ulcer
4. Suppurative lymphadenopathy

Correct answer: 1. Pseudolymphadenopathy

Explanation: Donovaniasis is characterized by pseudo bubo, i.e subcutaneous swelling without lymphadenopathy.